In a patient post myocardial infarction developed arrial fibrillation. Subsequently the ECHO showed a mural thrombus. The management is by
1. Warfarin
2. Cardioversion
3. Digoxin
4. Propranolol

Correct answer: 1. Warfarin

Explanation: (A) Warfarin # Patients with an anterior location of the infarction, severe LV dysfunction, CHF, a history of embolism, two-dimensional echocardiographic evidence of mural thrombus, or atrial fibrillation are at increased risk of systemic or pulmonary thromboembciism.> Such individuals should receive full therapeutic levels of antithrombin therapy (UFH or LMWHs) while hospitalized, followed by at least 3 months of warfarin therapy.